Shorest acting beta blocker ?
1. Esmolol
2. Nodalol
3. Acebutolol
4. Sotalol

Correct answer: 1. Esmolol

Explanation: Ans. is 'a' i.e., Esmolol Nodalol is longest acting b-blocker. Esmolol is shortest acting b-blocker. Acebutolol possesses all activities i.e., cardioselectivity, partial agonist activity, membrane stablizing activity and lipid insolubility.